The most common retrobulbar orbital mass in adults is -
1. Neurofibroma
2. meningioma
3. Cavernous haemangioma
4. Schwannoma

Correct answer: 3. Cavernous haemangioma

Explanation: Ans. is 'c' i.e., Cavernous hemangioma Cavernous hemangioma is the commonest benign orbital tumour among adults.The tumour is usually located in the retrobulbar muscle cone.It presents as a slowly progressing unilateral proptosis in the 2nd to 4th decade.Sometimes it may compress the optic nerve without causing symptoms.